Which of the following disorder is associated with acantholysis?
1. Pemphigoid
2. Pemphigus vulgaris
3. Erythema multiforme
4. Dermatitis herpetiformis

Correct answer: 2. Pemphigus vulgaris

Explanation: Acantholysis refers to loss of cohesion between epidermal cells as a result of destruction of intercellular substance. Acantholytic cells are round cells with large hyperchromatic nuclei and perinuclear halo. The primary lesion of pemphigus vulgaris is acantholysis in the epidermis. Its histologic hallmark is acantholysis which is suprabasal, and the basal cells remain attached to the basement membrane. Ref: Tropical Dermatopathology By Singh, Page 121; Pathology of The Head and Neck By Antonio Cardesa, Page 74.